Patient is having bronchodilatation, increased temperature, constipation & tachycardia. The diagnosis is:
1. Organophoshate poisoning
2. Cannabis/ paracetamol
3. Atropine poisoning
4. Mushrom poisoning

Correct answer: 3. Atropine poisoning

Explanation: C i.e. Atropine poisoning Atropine (or Dhatura) poisoning present with anticholinergic symptoms of bronchodilatation, tachycardiaQ, mydriasis and blurring of vision (blind as bat); hyperthermiaQ (hot as hare), dilation of cutaneous vessels 1/t skin flushing (red as a beet), dryness of skin and mucous membrane (dry as a bone) d/t lack of sweating and salivation, the latter causing difficulty in swallowing (dysphagia) and difficulty in talking, constipationQ & urinary retention (d/t decreased water loss), drowsiness, drunken gait and deliriumQ (mad as a wet hen).